What is seen in severe starvation -
1. Albuminuria
2. Ketonuria
3. Hematuria
4. All of above

Correct answer: 2. Ketonuria

Explanation: Ans. is 'b' i.e., Ketonuriao Body typically converts carbohydrates to glucose as a main source of energy,o Once liver used all its glucose, it begins to metabolise fatty acid forming ketone bodies,o Level of ketone is high, body start discarding excess ketone into breath, urine & sweat,o High ketone level also seen,Diabetic ketoacidosiso Alcoholismo Low carbohydrate diet.